Most common cause of acquired AV fistula is -
1. Bacterial infection
2. Fungal infection
3. Blunttrauma
4. Penetrating trauma

Correct answer: 4. Penetrating trauma

Explanation: Ans. is 'd' i.e., Penetrating trauma "Penetrating injuries are the most common cause, but fistulas are sometimes seen after blunt trauma " - CSDT